An 11-year-old boy presents with pain in his right leg. A radiograph shows a "sunburst" appearance with bone destruction, soft tissue mass, new bone formation, and sclerosis limited to the metaphysis of the lower femur. select the type of bone lesion with which it is most likely to be associated (SELECT 1 LESION)
1. Osteoma
2. Osteoid osteoma
3. Osteoblastoma
4. Osteosarcoma

Correct answer: 4. Osteosarcoma

Explanation: Osteosarcoma, or osteogenic sarcoma, usually is seen in patients between the ages of 10 and 25 years. The distal femur is the site most frequently involved. The radiograph has a blastic, or sunburst, appearance. The tumor is not sensitive to radiation but does respond well to combination chemotherapy followed by surgical resection or amputation.An osteoid osteoma typically presents with severe pain that is characteristically relieved by aspirin. On radiograph, the lesion appears as a small lucency (usually <1.0 cm) within the bone that is surrounded by reactive sclerosis. These lesions gradually regress over 5-10 years, but most are excised to relieve symptoms. Surgical extirpation is usually curative.